All of the following clinical signs seen in Keratoconus except:
1. Fleischer ring
2. Rizutti sign
3. Haab's striae
4. Oil droplet reflex

Correct answer: 3. Haab's striae

Explanation: Haab's striae seen in primary congenital glaucoma.
Keratoconus

Oil droplet reflex seen in direct ophthalmoscopy.
Rizutti sign - Light thrown temporarily falls in arrow head pattern on nasal limbus.
Fleischer ring - Iron deposition at the base of cone.